70 years old male presents with signs of obstructive uropathy with sever continuous pain in back region. Following is the X ray of patient's lumbar spine. What is the most possible pathology patient is suffering from? -
1. Prostate carcinoma
2. Benign prostatic hyperplasia
3. Prostatitis
4. Hydronephrosis

Correct answer: 1. Prostate carcinoma

Explanation: Ans. is 'a' i.e., Prostate carcinoma * 70 years old male presents with signs of obstructive uropathy - Benign prostatic hypertrophy or carcinoma prostate.* With sever continuous pain in back region - most probably secondary to metastases from prostate carcinoma (as pain is continuous). These metastases are typically to lumber vertebrae and osteoblastic in nature.